Oesophageal manometry is used in:
1. Cancer esophagus
2. Barrett esophagus
3. Schatzki ring
4. Achalasia cardia

Correct answer: 4. Achalasia cardia

Explanation: Ans. (d) Achalasia CardiaRef Bailey and Love 26th edition Page 1015* Manometry is the investigation to study the physiology of the functions of esophagus.* It is the investigation of choice to detect the motility disorders like achalasia cardia, DES, nut cracker esophagus.* Barrett IOC: Endoscopic biopsy* Cancer Esophagus IOC: Endoscopic biopsy* Zenker IOC: Barium swallow